The remnant of an omphalomesenteric duct is
1. Median umbilical ligament
2. Meckel's diverticulum
3. Median umbilical fold
4. Omphalocele

Correct answer: 2. Meckel's diverticulum

Explanation: The omphalomesenteric duct is an embryonic structure which connects the yolk sac to the midgut, it gets obliterated between the 5thand 9th week of gestation, failure of which result in remnants like Meckel's diverticulum or cyst or fistula The median umbilical ligament is a remnant of the urachus The medial umbilical ligaments are a remnant of the umbilical arteries Ref: Gray's 39e/p-1289